All of the following can cause Optic Neuritis, except :
1. Rifampicin
2. Digoxin
3. Chloroquine
4. Ethambutol

Correct answer: 1. Rifampicin

Explanation: A i.e. Rifampicin Ethambutol, streptomycin & isoniazid are anti-tubercular agents that cause optic neuritis.Q Rifampicin does not cause optic neuritis.